RNA primer is synthesized by ?
1. Topoisomerase
2. Helicase
3. DNA primase
4. DNA ligase

Correct answer: 3. DNA primase

Explanation: Ans. is 'c' i.e., DNA primase